Remenant vitello intestinal duct causes -
1. Patenturachus
2. Meckel's diverticulum
3. Umbilical granuloma
4. Omphalocele

Correct answer: 2. Meckel's diverticulum

Explanation: Ans. is 'b' i.e., Meckel's diverticulum